Cavitating lesion in lung is seen in:
1. Wegener's granulomatosis
2. PAN
3. SLE
4. Goodpasture's syndrome

Correct answer: 1. Wegener's granulomatosis

Explanation: Findings on chest radiography are abnormal in two thirds of adults with Wegener's granulomatosis/Granulomatosis with angiitis. The most common radiologic findings are single or multiple nodules and masses. Nodules are typically diffuse, and approximately 50% are cavitated. Wegener's granulomatosis Granulomatous vasculitis of small arteries and veins that affects the lungs, sinuses, nasopharynx, and kidneys Antineutrophil cytoplasmic antibodies (ANCA) are seen Elderly people may have extensive atherosclerosis. After an endovascular procedure, some of the atheromatous material may embolize, usually to the skin, kidneys, or brain. This material is capable of fixing complement and thus causing vascular damage. The skin lesions--ecchymoses and necrosis--look much like vasculitis.